In portal hypertension the sites of portosytemic anastomosis includes all except
1. Lower end of esophagus
2. Around umbilicus
3. Lower third of rectum and anal canal
4. Superior and inferior pancreatic vessels

Correct answer: 4. Superior and inferior pancreatic vessels

Explanation: A portacaval anastomosis is a specific type of anastomosis that occurs between the veins of portal circulation and those of systemic circulation. The inferior end of the esophagus and the inferior part of the rectum are some of the most important sites of portal systemic anastomosis.In portal hypertension, as in the case of cirrhosis of liver, the anastomoses become congested and form venous dilatations